Ciliary staphyloma occurs due to all of the following except:
1. Scleritis
2. Perforating injury
3. Absolute glaucoma
4. Episcleritis

Correct answer: 4. Episcleritis

Explanation: Ans. Episcleritis